Endocater is:
1. 1st generation apex locator.
2. 2nd generation apex locator.
3. 3rd generation apex locator.
4. 4th generation apex locator.

Correct answer: 2. 2nd generation apex locator.

Explanation: APEX Locators: